Racoons eye is a feature of:
1. Lefort 1
2. Lefort 2
3. Lefort 3
4. Both B& C

Correct answer: 4. Both B& C